DALY measures -
1. Years lost due to premature death and years lived with disability
2. Years lost due to premature death and years lived without disability
3. Years lost due to disability
4. Years lived without disability

Correct answer: 1. Years lost due to premature death and years lived with disability

Explanation: Ans. is 'a' i.e., Year lost due to premature death and year lived with disability o DALY (Disability Adjusted Life Years) expresses years of life lost due to premature death and years lived with disability adjusted for severity of disability.